Sea snake is -
1. Neurotoxic
2. Vasculotoxic
3. Myotoxic
4. All of the above

Correct answer: 3. Myotoxic

Explanation: Ans. is 'c' i.e., Myotoxic Type of poisoningSnakeHematotoxicVipersMyotoxicSea snakesNeurotoxicElapids- cobra, Krait, coral